For studying the complete amino acid sequence of two polypeptide chains of Insulin, Nobel Prize was awarded to
1. Fredreich Sanger
2. Banting and Macleod
3. Paul Muller
4. Alexander Fleming

Correct answer: 1. Fredreich Sanger

Explanation: LIST OF FEW NOBEL LAUREATES IN PHYSIOLOGY OR MEDICINE

Sir Ronald Ross: Life cycle of Plasmodium
I.P. Pavlov: Physiology of digestion
Robert Koch: Discoveries in Tuberculosis
Paul Ehrlich: Immunity
F.G. Banting & J.J.R. McLeod: Insulin
Willem Einthoven: ECG
Karl Landsteiner: Human blood groups
Sir Alexander Fleming: Penicillin
Paul H. Muller: DDT
S.A. Waksman: Streptomycin (First antibiotic, against TB)
Har Gobind Khorana: Interpretation of genetic code
Sir Godfrey N. Hounsfield: CT scan
J.E. Murray & E.D. Thomas: Organ and cell transplantation
Sir Peter Mansfield: MRI
B.J. Marshall & J.R. Warren: H. pylori; its role in peptic ulcer disease
H.Z. Hausen: HPV causing cervical cancer
F.B. Sinnoussi & L. Montagnair: HIV
Robert G. Edwards: In-vitro fertilization